Which one of the following stromal dystrophy is inherited as a recessive condition?
1. Fleck dystrophy
2. Lattice dystrophy
3. Macular dystrophy
4. Granular dystrophy

Correct answer: 3. Macular dystrophy

Explanation: Macular dystrophy is a type of corneal dystrophy with an autosomal recessive inheritance. It is characterized by the appearance of dense grey opacity in the central cornea. It occur due to accumulation of mucopolysaccharides. It occur in childhood and leads to marked defective vision in early life. Ref: Comprehensive Ophthalmology By A K Khurana, 4th Edition, Page 118.